Parapharyngeal abscess-all true except -
1. Midline swelling
2. Abscess in pharyngo maxillary space
3. Trismus
4. Torticollis

Correct answer: 1. Midline swelling

Explanation: Parapharyngeal abscess is a lateral swelling (not midline).